True about glutamate dehydrogenase is A/E
1. Liver mitochondrial enzyme
2. Use both NAD* or NADP+ coenzyme
3. Inhibited by ADP & activated by GTP
4. Reversible oxidative deamination

Correct answer: 3. Inhibited by ADP & activated by GTP

Explanation: C i.e. Inhibited by ADP & activated by GTPDuring first few days of fasting, there is rapid breakdown of muscle protein, providing aminoacids (alanine & glutamine mainly) that are used by liver for gluconeognesisQ.In the fasting state, the output of alanine from skeleton muscle is in far excess of its concentration in the muscle proteins that are being catabolized. Because it is also formed by transamination of pyruvate produced by glycolysis of muscle glycogen. Alanine is exported to the liver, where it is transaminated back to pyruvate, which serves as a substrate for gluconeogenesisQ.